Barr body is absent in ?
1. Kleinfelter
2. Turner
3. Super female
4. None of the above

Correct answer: 2. Turner

Explanation: Ans. is 'b' i.e., Turner Barr body (Sex - chromatin) It is a densely staining inactivated condensed 'X' chromosome that is present in each somatic cells of female. o It is found in the nucleus. It is used as a test of genetic femaleness -4 it is possible to determine the genetic sex of an individual according as to whether there is a chromatin mass present on the inner surface of the nuclear membrane of cells with resting or intermitent nuclei. Remember following fact and the question will seem very easy. Chromatid body (Barr body or sex chromatin) is derived from one of the two X-chromosomes which becomes inactivated. The numer of Barr bodies is thus one less than the number of X-chromosomes.